All the following statements are true about structure of airway except
1. Maximum smooth muscle is found in respiratory bronchiole
2. Cartilage is absent in terminal bronchiole
3. Secretory glands is present in bronchi
4. Ciliated cuboidal epithelium is found in respiratoy bronchiole

Correct answer: 1. Maximum smooth muscle is found in respiratory bronchiole

Explanation: Smooth muscle is maximum in terminal bronchiole
Cartilage and secretory glands present only in trachea and bronchi
Pseudostratified ciliated columnar epithelium in trachea and bronchi
Ciliated cuboidal epithelium is terminal and respiratory bronchiole.